The following structure does not pass through flexor retinaculum
1. Ulnar N
2. Median N
3. Flexor digitorum profundus
4. Flexor digitorum superficialis

Correct answer: 1. Ulnar N

Explanation: FLEXOR RETINACULUM Carpel tunnel.Transverse carpal ligament. Strong fibrous band which bridges anterior concavity of carpus and converts it into osseofibrous tunnel called carpal tunnel for the passage of flexor tendons of the digits. Rectangular.Formed due to thickening of deep fascia in front of carpal bones. Attachments: medial-pisiform, hook of hamate.Lateral-tubercle of scaphoid and crest of trapezium. Structures passing superficial to flexor retinaculum:-(medial to lateral)1. Ulnar nerve 2. Ulnar artery 3. Posterior cutaneous branch of ulnar nerve.4. Tendon of palmaris longus.5. Palmar cutaneous branch of median nerve.6. Superficial palmar branch of radial artery. Structures passing deep to flexor retinaculum:-1. Tendon of FDS2. Tendon of FDP 3. Tendon of FPL.4. median nerve. Ulnar bursa-tendons of FDS&FDP.Radial bursa- tendon of flexor pollicis Flexor carpi radialis pass through separate canal. CARPAL TUNNEL SYNDROME:-Injury to median nerve in carpal tunnel.Causes:-Tenosynovitis of flexor tendons.MyxedemaRetention of fluid in pregnancy Fracture dislocation of lunate bone.Osteoarthritis of wrist. Symptoms:-1. Feeling of burning pain or " pins & needles " along lateral 3 and half digits especially at night.2. Weakness of thenar muscles.3. No sensory loss over thenar eminence.4. Apert thumb deformity if left untreated.5. Positive phalens abd tinel's sign.Phalen' sign-flexion of both wrists against each other for one minute reproduces the symptoms.Tinel's sign- percussion over flexor retinaculum reproduces symptoms. MNEMONIC structures passing deep to flexor retinaculum:" SPM fuLLy Boring Flexor digitorum Superficialis tendon, flexor digitorum Profundus tendon, Median nerve, flexor poLLicis longus , Bursae - radial and ulnar. {Reference: vishram singh, page no.196,} Figure:9.15,page no:113,BD chaurasia , 6th edition,upper limb & thorax.